Most common primary of metastatic bone tumor in a male is:
1. Lung
2. Liver
3. Bone
4. Brain

Correct answer: 1. Lung

Explanation: Among the given options, Most common primary of metastatic bone tumor in a male is carcinoma lung. BONE METASTASIS Prostate, breast and lung primaries account of 80% of all bone metastasis. MC site of primary for bone metastasis: CA Breast > CA prostate > RCC > CA lung > CA thyroid > CA bladder MC cause of osteoblastic secondaries in males: CA Prostate MC cause of osteoblastic secondaries in females: CA Breast MC tumor metastasize to bone in females: CA Breast Lytic expansile metastasis is seen in: RCC ,follicular carcinoma thyroid MC site of bone metastasis: Dorsal spine (Thoracic vertebra)